A triad of features consisting of multifocal bony defects,diabetes insipidus and exophthalmous is termed  as:
1. Hand-schulles-christian disease.
2. Letterer-siwe disease.
3. Hypersplenism.
4. Burkitt’s lymphoma.

Correct answer: 1. Hand-schulles-christian disease.

Explanation: Hand-Schuller-Christian Disease
A triad of features consisting of multifocal bony defects, diabetes insipidus and exophthalmos is termed Hand-Schuller-Christian disease. The disease develops in children under 5 years of age. The multifocal lytic bony.